Visual hallucinations are seen in all except ?
1. Delirium
2. Depression
3. Schizophrenia
4. Alcohol withdrawal

Correct answer: 2. Depression

Explanation: Ans. is 'b' i.e., Depression Type of hallucination Causes Auditory Schizophrenia, Organic brain syndrome, Alcoholic hallucinosis manic-depressive illness, Brain lesions -Pontine or temporal lobe lesions. Visual Organic brain disturbances : - Delirium, delirium tremens, occipital lobe tumors, epilepsy, dementia Intoxication (LSD, amphetamines, Alcohol, mescaline), alcohol withdrawal. Brain lesions Unformed visual hallucinations :- Disorders of occipital lobe or ocular diseases. Formed visual hallucinations :- Disorders of temporal lobe, upper brain stein or thalamus Schizophrenia lfactory & gustatory Temporal lobe diseases (e.g., complex partial seizure). Olfactory hallucination may also occur in depression & schizophrenia Tactile Schizophreni Formication :- Cocaine, alcohol withdrawal Note : Epilepsy and cerebral disorders can cause hallucinations of all modalities depending on the site of lesions.